Magnan's symptom is seen in
1. Visual hallucination
2. Auditory hallucination
3. Gustatory hallucination
4. Tactile hallucination

Correct answer: 4. Tactile hallucination

Explanation: Tactile hallucination: this is hallucination of touch. In this type of hallucination, the person gets the feeling that some insects are crawling under the skin(formication) This is otherwise called Magnan's symptom, usually occurs in cocaine addicts. Ref: FORENSIC MEDICINE AND TOXICOLOGY Dr PC IGNATIUS THIRD EDITION PAGE 360